Narcotic overdose can be antagonized by
1. Diphenhydramine
2. Atropine
3. Naloxane
4. Nalorphine

Correct answer: 3. Naloxane